If the speed of the aerotor hand piece is increased to
100,000 rpm then.
1. Decreased vibration perception to the patient
2. More heat is generated resulting in pulpal damage
3. High efficiency
4. all of the above

Correct answer: 4. all of the above